In Roll Back Malaria program, which of the following is not a component?
1. Training for health care worker
2. Using Insecticide-treated bednets
3. Developing newer insecticides
4. Strengthening health system

Correct answer: 3. Developing newer insecticides